Structure passing through esophageal opening of diaphragm
1. Right phrenic nerve
2. Azygous vein
3. Gastric nerves
4. Thoracic duct

Correct answer: 3. Gastric nerves

Explanation: Oesophageal opening transmits gastric or vagus nerves. B D CHAURASIA'S HUMAN ANATOMY LOWER LIMB ABDOMEN AND PELVIS VOLUME-2,SIXTH EDITION Page no-333